All of the following drugs are components of the MOPP cancer Chemotherapy regimen EXCEPT:
1. Procarbazine
2. Vincristine
3. Mechlorethamine
4. Methotrexate

Correct answer: 4. Methotrexate